The haemoglobin cut-off level for determining prevalence of anemia among pregnant women is -
1. Less than 15g\/dL
2. Less than 13 g\/dL
3. Less than 11 g\/dL
4. Less than 19 g\/dL

Correct answer: 3. Less than 11 g\/dL

Explanation: In adult female, pregnant venous blood content of Hb less than 11g/dl is diagnostic of anemia. REF. PARK'S TEXTBOOK OF PREVENTIVE AND SOCIAL MEDICAL 21ST EDITION. PAGE NO - 575